A 20-year-old man was taking excess alcohol and indulged in illegal sexual activities with lack of sleep, irritability and isn't fatigued since 3 weeks, Diagnosis is
1. OCD
2. Depression
3. Mania
4. Impulse

Correct answer: 3. Mania

Explanation: MANIA is a type of mood disorder it is assosiated with elated or irritable mood other symptoms for mania are decreased need for sleep, increased involvement in goal directed pleasurable activities, increased pressure of speech and flight of ideas. duraion criteria forMANIA is 7 days duration criteria for HYPOMANIA is 4 days Substance abuse increases in frequency in mania and all other features are typically pointing mania Ref: Essentials of postgraduate psychiatry By JN Vyas 1st ed Pg 615-620